Physiological effect that is not produced by stimulation of Kappa opioid receptor is:
1. Sedation
2. Diuresis
3. Miosis
4. Constipation

Correct answer: 4. Constipation

Explanation: Ans. D. ConstipationBecause of the stimulation of u receptor constipation will occur. They can be found in the intestinal tract.This will be the cause of constipation i.e. a major side effect of u agonists, due to inhibition of peristaltic action.a. Sedationb. Analgesiac. Miosisd. Dysphoriae. DiuresisAmong the five related receptors the k-opioid receptor will bind opium-like compounds in the brain which are responsible for mediating the effects of these compounds.It effects includes altering the: -a. Moodb. Perception of painc. Consciousnessd. Motor control